Malignant pustule is caused by:
1. B. Anthracis
2. Leishmaniasia
3. Basal cell carcinoma
4. Pyoderma

Correct answer: 1. B. Anthracis

Explanation: Ans. (a) B. anthracis